ACTH secretion is highest during -
1. Noon
2. Evening
3. Morning
4. Night

Correct answer: 3. Morning

Explanation: Ans. is 'c' i.e., Morning orT Cortisol levels in blood are normally elevated at 8.00 AM and decrease to less than 50% by midnight.